Hard Tick causes a/e –
1. Relapsing fever
2. KFD
3. Indian tick typhus
4. Tularemia

Correct answer: 1. Relapsing fever